Which of the following statement is not true about NSAIDs
1. Acetylsalicylic acid is an Irreversible inhibitors of Cox enzyme acetylsalicylic acid is an Irreversible inhibitors of Cox enzyme
2. Acetylsalicylic acid reduces in Vivo synthesis of prostaglandins
3. Its clearance is independent of Plasma concentration
4. Antiplatelet effect of low dose aspirin is related to pre systemic Cox inhibition

Correct answer: 3. Its clearance is independent of Plasma concentration

Explanation: Acetylsalicylic acid (asprin) is an Irreversible inhibition of COX enzyme. IT results in inhibition of prostaglandin and TX synthesis at low doses for (40 to 325 milligrams) it exerts antiplatelet action. this drug shows saturation kinetics at high doses that is kinetics changes from first order to zero order. therefore at high doses amount of drug exerted will be constant that means clearance il is not constant. Refer kDT 6/e p185